All of the following methods are anti-larval measures, EXCEPT:
1. Intermittent irrigation
2. Paris green
3. Gambusia affinis
4. Malathion

Correct answer: 4. Malathion

Explanation: Malathion is used primarily for killing adult mosquitoes. It is not recommended as a larvicidal agent Fenthion, Chlorpyrifos and abate are preferred as larvicides. Water management such as intermittent irrigation constitutes a proven method of larval control. Paris green or copper acetoarsenite is a stomach poison and is effective when ingested by the larvae. Gambusia afftnis are small fishes that feed readily an mosquito larvae. Ref: Park's Textbook Of Preventive And Social Medicine By K. Park, 19th Edition, Page 638; Park's Textbook Of Preventive And Social Medicine By K. Park, 18th Edition, Page 570, 579, 590